Metabolism of proline takes place in:
1. Mitochondria
2. Cell membrane
3. Ribosome
4. All of the above

Correct answer: 1. Mitochondria

Explanation: The catabolism of proline takes place in mitochodria. Since proline does not participate in transamination, the nitrogen of this imino acid is retained throughout its oxidation to 1-pyrolline-5-carboxylate, ring opening to glutamate--semialdehyde, and oxidation to glutamate, and is only removed during transamination of glutamate to a-ketoglutarate Ref: Harper 28th edition, chapter 29.